All of the following are watersoluble radical trapping antioxidants except?
1. Ascorbate
2. Carotenes
3. uric acid
4. Polyphenols

Correct answer: 2. Carotenes

Explanation: Ascorbate, uric acid, and a variety of polyphenols derived from plant foods act as water-soluble radical trapping antioxidants. Ubiquinone and carotenes similarly act as lipid-soluble radical-trapping antioxidants in membranes and plasma lipoproteins. Reference: Harpers illustrated biochemistry 30th edition